which of the following is Marble bone disease ?
1. Osteoporosis
2. Paget's disease
3. Osteopetrosis
4. Osteogenesis imperfecta

Correct answer: 3. Osteopetrosis

Explanation: *Osteopetrosis is also known as marble bone disease or Albers- Schonberg disease. *Paget's disease is known as Osteitis deformans. *Osteogenesis imperfecta is known as Brittle bone disease. *Osteoporosis is known as Fragile bone disease. Ref: Maheshwari 9th/e p.307